Treatment option for glaucoma includes all except:
1. Trabeculectomy
2. Trabeculotomy
3. Vitrectomy
4. Viscocanalostomy /Sclerectomy

Correct answer: 3. Vitrectomy

Explanation: C. i.e. Vitrectomy